Most common cause of epidural abscess -
1. Staphylococcus
2. Streptococcus
3. Gram negative bacilli
4. Microaerophilic anaerobic streptococci

Correct answer: 1. Staphylococcus

Explanation: Ans. is 'a' i.e., Staphylococcuso Therefore spinal epidural abscess is much more common than the intracranial epidural abscess.# Spinal epidural abscess is more common by a factor of nine to one.Causes of epidural abscess